Magnan symptoms are associated with which substance?
1. Cocaine
2. Cannabis
3. Amphetamine
4. Alcohol

Correct answer: 1. Cocaine

Explanation: Intoxication of Cocaine leads to- Euphoria Sympathetic symptoms (tachycardia, palpitations, hypertension, sweating , mydriasis) Paranoid ideations + auditory hallucinations Tactile hallucinations or cocaine bugs or magnan phenomenon or formication i.esmall insects are crawling under the skin